Hyperbilirubinemia in newborn involving palm & sole?
1. 8 mg/di
2. 10 mg/di
3. 14 mg/di
4. >15 mg/di

Correct answer: 4. >15 mg/di

Explanation: Ans. is 'd' i.e., >15 mg/di